A 28-year-old G1P0 at 32 weeks gestation present with itchy, erythematous papules on the extensor surfaces and trunk. . No history of fever or use of new creams or lotion was given. What is first line treatment for this condition?
1. Antibiotic therapy
2. Antivirals and termination of pregnancy
3. Topical steroids and oral antihistamines
4. Oral steroids

Correct answer: 3. Topical steroids and oral antihistamines

Explanation: This lesion isPruritic urticarial papules and plaques of pregnancy (PUPPP) or prurigo pf pregnancy. Characterized by 5- to 10-mm, itchy, erythematous papules or nodules commonly found on the extensor surfaces and trunk Prurigo of pregnancy resolves after delivery of the baby. However, resolution can take as long as several weeks to months post-partum 1st line treatment is oral antihistamines and topical corticosteroids